"Molotov cocktail" is -
1. Time-bound bomb
2. Mixture of alcohol
3. Mixture of drug composition
4. Incendiary bomb

Correct answer: 4. Incendiary bomb

Explanation: It is a incendiary bomb ,also called petrol bomb,bottle bomb,poor man's grenade.It is used by street criminals, protesters,rioters. Ref: Wikipedia.